Recommended convergence between opposing axial walls, which optimize retention, is
1. 6 degree
2. 30 degree
3. 15 degree
4. 45 degree

Correct answer: 1. 6 degree